Sign of activity in chronic iridocyclitis is:
1. Aqueous cells
2. Aqueous flare
3. Pigmented KPs
4. All of the above

Correct answer: 1. Aqueous cells

Explanation: Ans. Aqueous cells